Which committee is responsible for making plan for village health under NHM
1. Village health sanitation and Nutrition committe
2. Village Health planning and management committee
3. Rogi kalyan samiti
4. Panchayat Health Committee.

Correct answer: 1. Village health sanitation and Nutrition committe